Scalp and face are involved in-
1. Adult scabies
2. Nodular scabies
3. Infantile scabies
4. None

Correct answer: 3. Infantile scabies

Explanation: Ans. is 'c' i.e., Infantile scabiesTypeFeatureo Infantile scabiesScalp, face, palms and soles are involvedo Norwegian scabiesCrusted hyperkeratotic lesions on face , palms, soles, nails. Itching is not prominent. Mites are found in thousand, most severe form of scabieso Crusted scabiesExtensive crustso Nodular scabiesItchy nodules over scortum and peniso Genital scabiesGenital affectedo Animal scabiesHistory of contact with cat or dog. Atypical presentation